Shortest acting B-blocker is:
1. Nebivolol
2. Carteolol
3. Esmolol
4. Timolol

Correct answer: 3. Esmolol

Explanation: Ans: c (Esmolol)Ref: Katzung 9 ed, Table 10.2The elimination half life of esmolol is 10 min which is the shortest.Notes on beta blockersCardioselective beta blockers are metoprolol, atenolol, bisoprolol, esmolol, betaxolol, celiprolol, nebivololPropranolol has highest degree of membrane stabilizing action.Nadolol is longest acting beta blocker and esmolol is shortest acting. Propranolol has poor oral bioavailability.Pindolol andpenbutolol have approx 100% bioavailability.Carvedilol is a third generation non-selective beta blockershowing anti-oxidant property and alpha 1 receptorantagonism. Labetolol also has alpha 1 receptor blockingactivity.Propranolol and metoprolol are extensively metabolized inthe liver, with little unchanged drug appearing in the urine.